All are true about neuropeptide 'Y’ excepta) Consist of 36 amino acidsb) Decreases thermogenesisc) Decreased in starvationd) Same effect like melanocorticotropin
1. ab
2. bc
3. bd
4. cd

Correct answer: 4. cd

Explanation: Neuropeptide Y has 36 aminoacid residues. It stimulates appetite, reduces thermogenesis by decreasing the energy expenditure and also decreases the activity of MSH. During starvation it is secreted at increased levels.